Patient has difficulty in swallowing as a CD wearer. The most probable cause is:
1. Decreased vertical dimension
2. Increased vertical dimension
3. Thickness of flange
4. Decreased retention

Correct answer: 2. Increased vertical dimension